True about Herpes virus -a) HSV encephalopathy is treated with acyclovirb) Oropharyngeal involvement is common in HSV -1c) Recurrent genital involvement is seen in HSV - 2d) Reccurence is rare in HSV - 1
1. ab
2. bc
3. acd
4. abc

Correct answer: 4. abc